Best method of treatment of ulner never abscess in case of leprosy is -
1. High does of steroid
2. incision and drainage
3. Thalidomide
4. High does of clofazamine

Correct answer: 2. incision and drainage

Explanation: Best method to treat ulnar nerve abscess is incision and drainage. folowed by treatment with corticosteroids and mbmdt iadvl textbook of dermatology page 2091